The enzyme which is used as an anticancer drug -
1. L-asparginase
2. Cytosine arabinoside
3. Methotrexate
4. Vincristine

Correct answer: 1. L-asparginase

Explanation: Ans. is 'a' i.e., L-asparginase o Leukemia cells are deficient in L-Asparagine synthase and depend on the supply of L-asparagine from medium. The enzyme L-asparaginase degrades L-asparagine to L-aspaic acid, depriving leukemic cells of essential metabolite-may cause cell death.